A farmer visiting a orchard gets unconscious, excessive salivation , constricted pupils and fasciculation of muscles, treatment started with
1. Atropine
2. Neostigmine
3. Physostigmine
4. Adrenaline

Correct answer: 1. Atropine

Explanation: A i.e. Atropine